According to European Laryngeal Society, subligamentous cordectomy is classified as:
1. Type I
2. Type II
3. Type III
4. Type IV

Correct answer: 2. Type II

Explanation: The European Laryngological Society is proposing a classification of different layngeal endoscopic cordectomies in order to ensure better definitions of post-operative results. The classification comprises eight types of cordectomies. - Type I: A subepithelial cordectomy, which is resection of the epithelium - Type II:A subligamental cordectomy, which is a resection of the epithelium, Reinke's space and vocal ligament. - Type III: Transmuscular cordectomy, which proceeds through the vocalis muscle - Type IV: Total cordectomy -Type Va: Extended cordectomy, which encompasses the contralateral vocal fold and the anterior commissure -Type Vb: Extended cordectomy, which includes the arytenoid -Type Vc: Extended cordectomy, which encompasses the subglottis -Type Vd: Extended cordectomy, which includes the ventricle.